Most common type of renal stone?
1. Calcium oxalate
2. Triple phosphate
3. Struvite stone
4. Urate stone

Correct answer: 1. Calcium oxalate

Explanation: Ans. (a) Calcium oxalateRef.:Bailey and love 26th ed. /1292Types of Renal Stones (Urolithiasis):* Calcium stones (75-85%)# Made of calcium oxalate or Calcium oxalate plus calcium phosphate.* Struvite stone/Triple phosphate stone (15% of cases)# Also known as magnesium-ammonium-phosphate stone# Formed mainly after infection by urea splitting bacteria (Proteus and some staphylococci) - which causes alkaline urine - leads to precipitation of Mg -NH3 - PO4# Causes Staghorn calculi, which occupy large position of renal pelvis.* Uric acid stone# Common in patients with hyperuricemia (except in patients with gout) and in patients with rapid cell turnover (Example- in Leukemia patients).# Cause: Urine of pH less than 5.5 (uric acid is insoluble in acidic urine) a leading to saturation# It is radiolucent stone.* Cystine stone# Due to genetic defect in renal absorption of amino acid cysteine a leading to cystinuria.